Ketogenic amino acids are all except-
1. Leucine
2. Lysine
3. Tryptophan
4. Histidine

Correct answer: 4. Histidine

Explanation: Ans. is 'd' i.e., Histidine o Leucine and Lysine - Pure ketogenico Tryptophan - Glycogenic and ketogenico Hitidine - Pure glucogenicGlucogenicKetogenicBoth glucogenic & ketogenico Alanineo Arginineo Aspargineo Aspartic acido Cysteineo Glutamineo Glutamic acido Glycineo Histidineo Methionineo Prolineo Serineo Threonineo Valineo Leucineo Lysineo Isoleucineo Phenylalaineo Tyrosineo TryptophanNote: According to Harper 29th/e (P-282), lysine is both ketogenic and glucogenic. But all other textbooks have mentioned it as ketogenic.